ACTH reserve is best assessed by which test
1. CRH test
2. Glucocorticoids levels
3. Insulin-induced hypoglycemia
4. ACTH stimulation test

Correct answer: 3. Insulin-induced hypoglycemia

Explanation: ACTH reserve is most reliably assessed during insulin-induced hypoglycemia.